Drug which is never given by oral route:
1. Erythromycin
2. Ciprofloxacin
3. Streptomycin
4. Albendazole

Correct answer: 3. Streptomycin

Explanation: Ans. C: Streptomycin Streptomycin is derived from the actinobacterium Streptomyces griseus. Streptomycin stops bacterial growth by hurting cell membranes and inhibiting protein synthesis. Specifically, it binds to the 16S rRNA of the bacterial ribosome, interfering with the binding of formyl-methionyl-tRNA to the 30S subunit. This prevents initiation of protein synthesis. Streptomycin cannot be given orally, but must be administered by regular intramuscular injection. Uses Tuberculosis in combination with other anti-TB drugs. It is not the first line treatment. Plague (Yersinia pestis) has historically been treated with it as the first line treatment. Infective endocarditis caused by enterococcus when the organism is not sensitive to Gentamicin Tularemia